Flocculo nodular lobe has direct connection with
1. Red nucleus
2. Inferior olivary nucleus
3. Vestibular nucleus
4. Dentate nucleus

Correct answer: 3. Vestibular nucleus

Explanation: Flocculonodular lobe is also called as vestibulocerebellum. Fibers doesn’t have to project to deep nuclei from here. The efferents from this lobe are sent directly to the vestibular nuclei in the brain stem.